A patient of coronary artery disease with diabetes mellitus has a history of myocardial infarction 2 months back. Lipid profile of the patient is serum triglyceride of 234 mg/dL, LDL 124 mg/dL and HDL 32 mg/dL. Which of the following drugs will you like to administer?
1. Fenofibrate
2. Rosuvastatin plus fenofibrate
3. Atorvastatin 80 mg
4. Rosuvastatin 10 mg

Correct answer: 3. Atorvastatin 80 mg

Explanation: Ans. (C) Atorvastatin 80 mg(Ref: CMDT 2017/1263-64)Treatment of hypertriglyceridemia is required only if serum triglycerides are more than 500 mg/dL, so fibrates are not indicated in this person.Indication of statins according to ACC/AHA 2013 guidelines are: High intensity statins (Atrovastatin 80 mg or rosuvastatin 40 mg)*Presence of clinical atherosclerotic cardiovascular disease (irrespective of LDL levels)*LDL >= 190 mg/dL*Age 40-75 years with diabetes mellitus and LDL >= 70 mg/dL with 10 year CVD risk >= 7.5%Low intensity statins (atorvastatin 20 mg, rosuvastatin 10 mg or other statins)*Presence of clinical atherosclerotic cardiovascular disease (irrespective of LDL levels) if age more than 75 years*Age 40-75 years with diabetes mellitus and LDL >=70 mg/dL*Age 40-75 years with LDL 70-189 mg/dL and 10 year CVD risk >=7.5%